Urine gets collected in which place in case of extraperitoneal rupture of bladder -
1. Groin
2. Below urogenital diaphragm
3. Above urogenital diaphragm
4. Perineal space

Correct answer: 3. Above urogenital diaphragm

Explanation: Ans is 'c' ie above the Urogenital diaphragm Bladder rupture is of two types : a) Extraperitoneal - 80% of cases b) Intraperitoneal - 20% of cases Urethral rupture is also of two types: a) Bulbar urethral injury - MC b) Membranous urethral injury Extravasation of urine in Bladder & Urethral injuries. Extravasation of urine (+ blood ) in bulbar urethral injury It is a superficial extravasation. If the Buck's fascia remains intact, extravasation of blood and urine are confined to the penile shaft. However disruption of Buck's fascia allows extravasated contents into a space limited by colle's fascia forms a scrotal and perineal butterfly hematoma which can extend up the abdominal wall. Extravasation of urine in Membranous urethral injury & Extraperitoneal bladder rupture. Extravasation is same in both It is a deep extravasation Urine extrvasates in the layers of the pelvic fascia and the retroperitoneal tissues Urine collects in the perivesical space. The typical finding on cystogram is extravasation of contrast material into the pelvis around the base of the bladder. Intraperitoneal rupture - usually occurs with a direct blow to lower abdomen with full bladder. - blood & urine will extravasate into the peritoneal cavity producing signs of peritonitis. More about Bladder & Urethral injuries Bladder injuries are usually associated with pelvic Bladder rupture assoc. with pelvic is extraperitoneal type. Urethral inj. associated with pelvis --4 membranous urethral inj. Urethral inj. causing high flying prostate --> membranous urethral inj.